Facial colliculus covers-
1. Facial nucleus
2. Abducent nucleus
3. Vestibular nucleus
4. Vagal nucleus

Correct answer: 2. Abducent nucleus

Explanation: Ans. is 'b' i.e., Abducent nucleus o There is some misprinting in the question. It is abducent nucleus (not abducent nerve) which is covered by facial colliculus.o Facial colliculus is a small elevation in pons, produced by genu (recuring fibers) of facial nerve looping around (covering) abducent nucleus.o Facial colliculus produces medial eminence on each side of median sulcus in 4th ventricle